The synthesis of glucose from pyruvate by gluconeogenesis:
1. Occurs exclusively in the cytosol.
2. Is inhibited by an elevated level of glucagon
3. Requires the participation of biotin
4. Involves lactate as an intermediate

Correct answer: 3. Requires the participation of biotin

Explanation: Biotin is the cofactor of pyruvate carboxylase. The carboxylation of pyruvate occurs in the mitochondria whereas the other reactions of gluconeogenesis occur in the cytosol. Glucagon stimulates gluconeogenesis. Lactate is not an intermediate in the conversion of pyruvate to glucose. Ref: Bender D.A. (2011). Chapter 44. Micronutrients: Vitamins & Minerals. In D.A. Bender, K.M. Botham, P.A. Weil, P.J. Kennelly, R.K. Murray, V.W. Rodwell (Eds),Harper's Illustrated Biochemistry, 29e.